Which is not a step of PCR ?
1. Annealing
2. Extension
3. Transformation
4. Denaturation

Correct answer: 3. Transformation

Explanation: Ans. is 'c' i.e., Transformation Steps in PCRIsolation of target DNA sequence- Primer construction - Denaturation of DNA- Annealing of primers to single stranded DNA- Chain extension.